Term catatonia was used by:
1. Karl Kahlbaum
2. Adolf Meyer
3. Leo Kanner
4. Karen Homey

Correct answer: 1. Karl Kahlbaum

Explanation: A. i.e. Karl Kahlbaum